The most reliable bones for the purpose of medullary index are the following except -
1. Humerus
2. Tibia
3. Radius
4. Sternum

Correct answer: 4. Sternum

Explanation: Sex of long bones can be determined by medullary index of tibia, humerus, radius and ulna.